Pin point pupils are seen in:
1. Opium poisoning
2. Acute alcohol poisoning
3. Barbiturate poisoning
4. Epileptic coma

Correct answer: 1. Opium poisoning

Explanation: Ans. A: Opium poisoning The triad of coma, pinpoint-immobile pupil and respiratory depression are diagnostic of opiate poisoning. Following conditions present with dilated pupils: Acute alcohol poisoning Barbiturates poisoning Epileptic coma Cerebral hemorrhage